Embryonic period of development is:
1. Up to 16 weeks
2. Up to 12 weeks
3. Up to 10 weeks
4. Up to 8 weeks

Correct answer: 4. Up to 8 weeks

Explanation: Stages of Prenatal development 1. Germinal stage (0-2 weeks) : Thegerminal stageis the period of gestation from fertilization or conception, when the egg meets the sperm, to implantation of the embryo in the uterus 2 Embryonic Stage (3-8 weeks) : Embryonic period extends from beginning of the third week to the end of eighth week of intrauterine life. 3 Fetal Stage (9 weeks to birth) : Once cell differentiation is mostly complete, the embryo enters the next stage and becomes known as a fetus. The fetal period of prenatal development marks more important changes in the brain. This period of development begins during the ninth week and lasts until birth.